Which is NOT a clinical feature of Addison's disease:
1. Hypoglycemia
2. Hyponatremia
3. Hypopigmentation
4. Hyperkalemia

Correct answer: 3. Hypopigmentation

Explanation: Ans. C i.e. Hypopigmentation Hyperpigmentation is a feature of Addison's disease, particularly of sun-exposed areas and at pressure points, such as the neck, knees and knuckles.